The therapeutic efficiency of antihypertensive drugs is blunted by NSAIDs because they
1. Cause of sodium excretion
2. Increase the clearance of anti Hypertensive drugs
3. Decrease the absorption of antihypertensive drugs
4. Decrease the synthesis of Vascular prostacyclin

Correct answer: 4. Decrease the synthesis of Vascular prostacyclin

Explanation: PG E2 and PGI2 cause renal vasodilatation, natriuresis and increased water clearance due to inhibition of the action of ADH. Loop diuretics act partly by increasing the stimulation of cox. therefore NSAIDs attenuate the diabetic action of these drugs. Refer kDT 6/e p708